Most common bacterial infection in lymphedema is:-
1. Staphylococcus
2. Streptococcus
3. E. coli
4. Pseudomonas

Correct answer: 2. Streptococcus

Explanation: The most common complication of both primary and secondary lymphedema is Erysipelas(streptococcus infection) Cellulitis may occur concurrently in lymphedema because of pooling of protein rich lymph fluid makes it easier for the patient to develop an infection.